which of the following drugs should be removed by dialysis?
1. digoxin
2. salicylates
3. benzodiazepines
4. organophosphates

Correct answer: 2. salicylates

Explanation: Salicylates stay in blood whereas digoxin,diazepam and organophosphates are distributed widely